Which of the following is false regarding point source single exposure epidemic?
1. Often explosive
2. Is caused by infectious agents only
3. Cases develop within incubation period only
4. Rapid rise and fall of epidemic curve occurs

Correct answer: 2. Is caused by infectious agents only

Explanation: Point source single epidemic is commonly caused by infectious agent but not always. The example of non infectious agents being involved include Bhopal gas tragedy, Chernobyl tragedy etc. Ref: Park, 21st Edition, Pages 60, 61.